Strychnine acts by
1. Exciting all the excitatory synapsesinthecord
2. Blocking inhibitory synapses
3. Being incorporated as substitute transmitter in monoaminetgic synapses
4. Directly exciting the skeletalmuscle fibrosis

Correct answer: 2. Blocking inhibitory synapses

Explanation: Strychnine is a neurotoxin which acts as an antagonist of glycine and acetylcholine receptors. It primarily affects the motor nerves in the spinal cord which control muscle contraction. An impulse is triggered at one end of a nerve by the binding of neurotransmitters to the receptors. In the presence of a neuroinhibitor, such as glycine, a greater quantity of excitatory neurotransmitters must bind to receptors before there will be an action potential generated. Glycine acts primarily as an agonist of the glycine receptor, which is a ligand-gated chloride channel in neurons located in the spinal cord and in the brain. This chloride channel will allow the negatively charged chloride ions into the neuron, causing a hyperpolarization which pushes the membrane potential further from threshold. Strychnine is an antagonist of glycine, which means it binds to the same receptor, preventing the inhibitory effects of glycine on the postsynaptic neuron. Therefore, action potentials are triggered with lower levels of excitatory neurotransmitters. When the inhibitory signals are prevented, the motor neurons are more easily activated and the victim will have spastic muscle contractions, resulting in death by asphyxiation. Structure of strychnine in complex with ACh binding protein (AChBP). Ref: guyton and hall textbook of medical physiology 12 edition page number:761,762,763